A child presented with non a Ranching purpura in the lower limb recurrent abdominal pain further in revealed deposition of IgA. What is the most probable diagnosis -
1. Henoch schonlein purpura
2. Wegeners granulomatosis
3. Kawasaki disease
4. Takayasu disease

Correct answer: 1. Henoch schonlein purpura